Not true about anterior cruciate ligament.
1. It begins just behind the anterior horn of lateral meniscus on tibia
2. It is taut in extension
3. It provides proprioceptive inputs to knee
4. It is extra-synovial

Correct answer: 1. It begins just behind the anterior horn of lateral meniscus on tibia

Explanation: * ACL begins just behind anterior horn of medial meniscus, not lateral meniscus Structures attached on upper end on tibia: (Mnemonic: MCL-LMC ) M- Anterior horn of medial meniscus C- Anterior cruciate ligament L- Anterior horn of lateral meniscus L- Posterior horn of lateral meniscus M- Posterior horn of medial meniscus C- Posterior cruciate ligament ACL PCL (stouter ligamentous structure) Intracapsular, extrasynovial Intracapsular, extrasynovial Major stabilizer of knee, stabilizes internal rotation and extension of tibia on femur. Limits forward gliding of tibia on femur hyperextension Contributes to lateral stability, limits anterolateral rotation of tibia on femur. Injured by occurrence of excessive movements which it limits. It limits backward glide of tibia on femur (posterior translation) and checks hyperextension only after the ACL is ruptured. PCL restricts External rotation Injured by high velocity trauma ('dash board impact') with posterior dislocation of tibia on a flexed knee Posterior cruciate ligament is active in all knee movements